Erythroplasia of Queyrat occurs in:
1. Scrotum
2. Testes
3. Penis
4. Bladder

Correct answer: 3. Penis

Explanation: Ans. C: Penis Paget's disease/Erythroplasia of Queyrat is a carcinoma in situ that mainly occurs on the glans penis, the prepuce, or the urethral meatus of elderly males. The cause of erythroplasia of Queyrat is largely unknown. Human papillomavirus type 16 DNA has previously been detected only in very few distinctly characterized patients Up to 30% progress to squamous cell carcinoma. Treatment is by circumcision, observation and excision if the lesion does not resolve.